Meningomyelocele with progressive hydrocephalus is commonly seen in
1. Arnold chiari II
2. Choroid plexus papilloma
3. Dandy walker malformation
4. Vein of Galen malformation

Correct answer: 1. Arnold chiari II

Explanation: Hydrocephalus + Meningomyelocele ⇒ Seen in Arnold chiari II